Polychromatic lusture is seen in :
1. Complicated cataract
2. Diabetes mellitus
3. Post radiation cataract
4. Congenital cataract

Correct answer: 1. Complicated cataract

Explanation: A i.e. Complicated cataract Complicated cataract (i.e. cataract secondary to some intraocular disease) may be - Anterior cortical Q in anterior segmental lesions as glaucoma, acute iritis, or, - Posterior cortical Q in posterior segmental lesions as uveitis, RD, pigmentary retinal dystrophy. The second type of complicated cataract presents with posterior cortical bread crumb appearance/ polychromatic lusture or rainbow cataract Q Complicated cataract occurs secondary intraocular disease e.g. Inflammatory conditions as uveitis. Degenerative conditions as retinitis pigmentosa, high myopia etc. Intraocular tumors Retinal detachment, Glaucoma etc.